Staph. aureus causes vomiting in 16-18 hours. The mechanism of action is -
1. Stimulation of cy AMP
2. Vagal stimulation
3. Stimulation of CyGMP
4. Acts through ganglioside GM receptor

Correct answer: 2. Vagal stimulation

Explanation: Ans. is 'b' i.e., Vagal stimulation